Acrodermatitis enteropathica is due to deficiency of -
1. Zinc
2. Manganese
3. Copper
4. Selenium

Correct answer: 1. Zinc

Explanation: Acrodermatitis enteropathica is a rare autosomal recessive disorder characterized by abnormalities in zinc absorption. Clinical manifestations include diarrhea, alopecia, muscle wasting, depression, irritability, and a rash involving the extremities, face, and perineum . Ref - harisons 20e p2317